Homocysteine is
1. Amino-acid in Protein- D form
2. Amino-acid in Protein- L form
3. Non-protein alpha amino-acid
4. Seen in Collagen

Correct answer: 3. Non-protein alpha amino-acid

Explanation: Homocysteine is a non-proteinogenic alpha- amino acid Homologous to cysteine, differing by an additional methylene bridge (-CH2-) Synthesized from methionine.